Supra - amohyoid neck dissection is
1. Lymph nodes I - V levels removed
2. Lymph nodes I - III levels removed
3. Lymph nodes I - V level removed along with IJV, SCM and spinal accessory nerve
4. Lymph nodes I - III levels removed along with IJV SCM and spinal accessory nerve

Correct answer: 2. Lymph nodes I - III levels removed